Stage X3B refers to the following in the classification of vitamin A deficiency:
1. Night blindness
2. Corneal xerosis
3. Conjunctival xerosis
4. Keratomalacia

Correct answer: 4. Keratomalacia

Explanation: d. Keratomalacia(Ref: Nelson's 20/e p 3 IB-320, Ghai B/e p 111-112)WHO classification of Vitamin A deficiency:IndicatorCategoryNight blindnessXNConjunctival xerosisX1ABitot's spotsX1BCorneal xerosisX2Corneal ulcerationX3AKeratomalaciaX3BXerophthalmia-related corneal scarsXS